Elagolix sodium was approved by FDA in July 2018 for
1. Prostate cancer
2. Pain of endometriosis
3. Dysmenorrhea
4. Non-Hodgkins lymphoma

Correct answer: 2. Pain of endometriosis

Explanation: Approved for trestment of endometiosis